Which of the following method of protein separation is not dependent on molecular size?
1. Gel filtration chromatography
2. Ultracentrifugation
3. Ion-exchange chromatography
4. SDS-PAGE

Correct answer: 3. Ion-exchange chromatography

Explanation: The nucleoside Inosine, Xanthosine, Guanosine is converted into Hypoxanthine, Xanthine, and Guanine. This reaction is catalyzed by "Purine nucleoside phosphorylase". ... The hypoxanthine is converted into Xanthine. The Xanthine is converted into Uric acid Ref-Harpers illustrated biochemistry 30/e p684